Which of the following antiarrhythmic agent does not belong to class 1C
1. Tocainide
2. Encainide
3. Flecainide
4. Propafenone

Correct answer: 1. Tocainide

Explanation: Refer kK sharma 306, Goodman and Gilman 10e 962 Although the name is similar to the class 1C agents(like flecainide, encainide) ,tocainide belongs to class 1B The clinical use of class IC antiarrhythmic drugs. Abi Samra F. Flecainide, encainide, and propafenone belong to class IC antiarrhythmic drugs. They are new and potent drugs which markedly depress Phase 0 of the action potential without affecting repolarization